Transcellular fluid is seen in
1. Body cavities lined by epithelium
2. Intracellularly
3. Intercellularly
4. None of the above

Correct answer: 1. Body cavities lined by epithelium

Explanation: It represents fluid in the lumen of structures lined by epithelium. (Ref: Textbook of physiology AK Jain 5th edition page no.25)